Mineralocorticoid receptors are present in all of the following sites, Except:
1. Hippocampus
2. Kidney
3. Colon
4. Liver

Correct answer: 4. Liver

Explanation: D i.e. Liver